Not an ideal amputation stump
1. Non-Tender
2. Adherent
3. Healed
4. Non-bullous

Correct answer: 2. Adherent

Explanation: Ideal Amputation stump 

Non Tender
Non-adherent
Well healed
Non-bullous
Skin at end of stump mobile sensate skin.
Properly constructed to allow satisfactory fitting of prosthesis.